Shock Lung is better known as:
1. Alveolar Proteinosis
2. Alveolar Haemorrhage
3. Pulmonary edema
4. ARDS

Correct answer: 4. ARDS

Explanation: Answer is D (ARDS): Shock lung is a synonym used for Acute/Adult Respiratory Distress syndrome. Synonym: for ARDS (Taken from 'Pathology of Lung) Shock lung Blast lung Traumatic wet lung Congestive Atelectasis DoNang Lung Noncardiogenic Pulmonary Edema Diffuse Alveolar Damage